In flexion injuries causing supracondylar fractures, the distal fragment is often displaced to
1. Anterior
2. Posterior
3. Medial
4. Lateral

Correct answer: 1. Anterior

Explanation: A i.e. Anterior Most common type of elbow injury in children Fracture supracondlar humerusQ (-- 50- 70% of & adolescents all elbow injuries) Most common type of supracondylar fracture Extension typeQ (-98% of all supracondylar ) Most common type of distal fragment Posterior (dorsal/ backward) shift and tiltQ displacement in fracture supracondylar humerus or extension type fracture supracondylar humerus (because it occurs in extension type) Most common type of displacement in flexion type fracture supracondylar humerus Anterior displacement & angulation tiltQ Most common cause of supracondylar fracture Hyperextenson injuryQ